Flight range for Aedes Mosquito is
1. 10 meters
2. 100 meters
3. 400 meters
4. 11 km

Correct answer: 2. 100 meters

Explanation: Flight range of important mosquito vectors in India: Mosquito vector Flight range Anopheles 3-5 Km Culex 11Km Aedes 100m (110 yards) Mansonia - Ref: Park 25th edition Pgno: 808